Which among the following is an example for Inflammatory bowel disease
1. Irritable bowel syndrome
2. Tropical sprue
3. Whipple's disease
4. Crohn's disease

Correct answer: 4. Crohn's disease

Explanation: Ans: d) Crohn's disease [Ref: Harrison 17th / Pg 1886"Ulcerative colitis and Crohn's disease are the two major types of IBD".* Smoking and OCP increase the risk of Crohn's disease* Appendicectomy and smoking protects Ulcerative colitis* P-ANCA: 60-70% of ulcerative colitis* ASCA : 60 - 70% of Crohn's disease* If +ve, chance of early complication* Omp - C: 55% of Crohn's disease (if +ve perforating disease)* Antibody to I2:50% of Crohn's disease (if +ve fibro stenosing disease)